.Erotomania means
1. delusion of love
2. delusion of dobles
3. delusion of persecution
4. delusion of nihilism

Correct answer: 1. delusion of love

Explanation: there are several named delusions delusion of love is called as De clerambult syndrome this is also called as delusion of love * EROTOMANIC o ALSO KNOWN AS * Declerambault syndrome * Psychose passionelle o RISK * Stalkers * Risk of homicide PRESENTATION Female from a lower socio-economic class would feel that a male celebrity is in love with her The initial proposal is from the male side The so-called partners would not have communicated in person at all Patient might feel that the perceived partner would send hidden messages that is known only to her Ref.kaplon and Sadock, synopsis of psychiatry, 11 th edition, Pg.No.333